Extermely pruritic excoriation & papules on buttocks with autoantibodies against epidermal transglutaminase and IgA deposition in dermis on immuno-histological examination of normal perilesional skin. Diagnosis is:
1. Pemphigus vulgaris
2. Pemphigoid
3. Linear IgA disease
4. Dermatitis herpetiformis

Correct answer: 4. Dermatitis herpetiformis

Explanation: D i.e. Dermatitis herpetiformis